Earliest reflex to reappear after spinal shock ?
1. Knee jerk
2. Ankle jerk
3. Bulbocavemous reflex
4. Abdominal reflex

Correct answer: 3. Bulbocavemous reflex

Explanation: Ans. is 'c' i.e., Bulbocavernous reflex Spinal shock Spinal shock refers to the period after spinal cord injury (usually 24-48 hours) when the reflex activity of the entire spinal cord becomes depressed. During this period the reflex arcs below the level of spinal cord injury are not functioning. Spinal shock is basically flaccid paralysis with loss of all spinal reflexes. There is loss of autonomic, reflex, motor and sensory activity below the level of the cord lesion. Signs of spinal shock include : 1. Flaccid paralysis 2. Loss of deep tendon and perianal reflexes The return of reflex activity below the level of a spinal cord injury signifies the end of spinal shock. o An accurate assessment of neurological status cannot be completed until spinal shock resolves. The earliest indicator of resolution is the return of bulbocavernous reflex. The significance of spinal shock lies in the determination of whether a patient has sustained a complete vs incomplete spinal cord injury. This cannot be determined until spinal shock has ended. If there is total absence of sensory or motor function below the level of in jury, after spinal shock has resolved, It indicates complete cord injury. If there is some residual function distal to the level of injury after resolution of spinal shock indicates incomplete cord injury. High thoracic cord has poor prognosis as this area has narrow spinal canal and precarious blood supply, watershade area of blood supply lies in upper thoracic region.